Which of the following is a synthetic estrogen ?
1. Estrone
2. Estriol
3. Estradiol
4. Diethylstibestrol

Correct answer: 4. Diethylstibestrol

Explanation: Ans. is 'd' i.e., DiethylstibestrolEstrogeno Ethinylestradiolo Diethylstibestrolo Mestranolo Hexestrolo Tiboloneo Dienestroi